Not a feature of brain death :
1. Complete apnea
2. Absent pupillary reflex
3. Absence deep tendon reflex
4. Heart rate un-responsive to atropine

Correct answer: 3. Absence deep tendon reflex

Explanation: C i.e. Absent deep tendon reflex The absence of deep tendon reflexes is not required to diagnose brain death because the spinal cord may remain functional.Q